Antibody in asthma treatment:
1. Omalizumab
2. Rituximab
3. Trastuzumab
4. Daclizumab

Correct answer: 1. Omalizumab

Explanation: Omalizumab:
Omalizumab is a monoclonal antibody directed against IgE; it inhibits the binding of IgE to mast cells and basophils. It is licensed for treatment of refractory chronic spontaneous urticaria and also for severe persistent allergic asthma that has failed to respond to standard therapy. The dose and frequency are determined by baseline IgE (measured before the start of treatment) and body weight. It is under investigation for allergic rhinitis but not yet approved for this indication. 
Reference: Harrison’s P R I N C I P L E S   O F I N T E R N A L M E D I C I N E 20th edition page no 1967